Simple Mastectomy includes removal of:
1. Only breast
2. Breast and axillary nodes
3. Breast+axillaries nodes+pectoralis major muscle
4. Breast+axillaries nodes+pectoralis major muscle+ pectoralis minor muscle

Correct answer: 1. Only breast

Explanation: Ans. A: Only breast These common surgical procedures for carcinoma breast include: Radical (Halsted) mastectomy is rarely used, and then only in cases where cancer cells have invaded the chest wall and the tumor is very large. The breast, pectoralis major and pectoralis minor muscles under the breast, and all of the lymph nodes are removed. This produces a large scar and severe disability to the arm nearest the removed breast. Modified radical (Patey) mastectomy is the most common form of mastectomy. It leaves the pectoralis major muscle intact. The breast and associated structures are removed en bloc and the excised mass is composed of: - The whole breast - A large portion of skin, the centre of which overlies the tumour but which always include the nipple - All of the fat, fascia and lymph nodes of the axilla - The pectoralis minor muscle is either divided or retracted to gain access to the upper two-thirds of the axilla. The axillary vein and the nerves to serratus anterior and latissimus dorsi (the thoraco-dorsal trunk) should be preserved. Simple, sometimes called total, mastectomy has been the treatment of choice in the late 1980s and 1990s. Generally, only the breast is removed; though, sometimes, one or two lymph nodes may be removed as well. Two other surgical procedures are variations on the simple mastectomy. The skin-sparing mastectomy is a new surgical procedure in which the surgeon makes an incision, sometimes called a keyhole incision, around the areola. The tumor and all breast tissue are removed, but the incision is smaller and scarring is minimal. - The subcutaneous mastectomy, or nipple-sparing mastectomy, preserves the skin and the nipple over the breast. Partial mastectomy is used to remove the tumor, the lining over the chest muscle underneath the tumor, and a good portion of breast tissue, but not the entire breast. This is a good treatment choice for early stage cancers. Lumpectomy just removes the tumor and a small amount of tissue surrounding it. Some lymph nodes may be removed as well. This procedure is gaining acceptance among surgeons and patients alike.